Eiken test is which type of reaction used for E. coli?
1. Precipitation
2. Agglutination
3. Toxin antitoxin assay
4. CFT

Correct answer: 1. Precipitation

Explanation: Eiken test is a precipitation reaction. Option 1 Eiken Precipitation test Precipitation in Gel (Immunodiffusion). Detect heat labile (LT) enterotoxin. +ve for heat labile (LT) enterotoxin of E.coli. -ve for heat stable (ST) enterotoxin of E.coli. Types of immunodiffusion reactions: 1. Single diffusion in one dimension (Oudin procedure) 2. Double diffusions in one dimension (Oakley-Fulthorpe procedure) 3. Single diffusion in two dimensions (Radial immunodiffusion) 4. Double diffusion in two dimensions (Ouchterlony procedure) Elek's test (diphtheria toxin) Eiken test (E.coli toxin) Option 2 Agglutination is more sensitive than precipitation test and the clumps are better visualized and interpreted. Option 3 Examples of Neutralization Test: Viral neutralization test: Detects viral neutralizing antibodies. Plaque inhibition test: Done for bacteriophages. Toxin-antitoxin neutralization test. Option 4 CFT (complement fixation test) detects complement fixing antibodies in the patient's serum.